A patient presents with bilateral proptosis, heat intolerance and palpitations. Most unlikely diagnosis here would be
1. Hashismoto's thyropidittis
2. Thyroid adenoma
3. Diffuse thyroid goitre
4. Reidel,s thyroiditis

Correct answer: 4. Reidel,s thyroiditis